Which is the least resistant to 02 depletion ?
1. Liver
2. Heart
3. Kidney
4. Spleen

Correct answer: 2. Heart

Explanation: Ans. is 'b' i.e., Heart